Characteristic ECG finding of pulmonary embolism
1. Sinus tachycardia
2. S Q3T3
3. T wave inversion
4. Epsilon waves

Correct answer: 2. S Q3T3

Explanation: Ans. is `b' i.e., SJQ3T3 E.C.G. changes of pulmonary embolism ? Sinus tachycardia is the most frequent and nonspecific finding on electrocardiography in acute pulmonary embolism. Features suggesting acute right hea strain on the ECG occur relatively infrequently, these include. Acute right axis detion P pulmonale Right bundle branch block Inveed T waves ST segment changes in right sided leads. Earlier the following E.C.G. changes were considered highly predictive of acute pulmonary embolism, but these observations were found in less than 12% of patients with pulmonary emboli in recent studies. These E.C.G. features are - S wave in lead I Q wave in lead III Inveed Tin lead III ("S1Q31.3") S waves in lead I, II and III ("Si,S2 S3") Also know Areterial blood gas analysis in pulmonary embolism : Arterial blood gas analysis shows Mid to moderate hypoxemia Increased P (A - a) 0, Mildly reduced PaCO2 Almost all patients with pulmonary embolism have PaO, < 80 mm Hg but no absolute level of Pa02 can be used to exclude the diagnosis.